A 10-year-old girl is admitted to the hospital with tonsillitis. A tonsillectomy is performed and the tonsils are removed. On physical examination one week later the patient has absence of the gag reflex on the left when the posterior part of the tongue is depressed. The sensory portion of which of the following nerves was most likely injured?
1. Facial
2. Glossopharyngeal
3. Mandibular
4. Maxillary

Correct answer: 2. Glossopharyngeal

Explanation: The gag reflex is composed of both an afferent and an efferent limb. These reflexes are mediated by the glossopharyngeal and vagus nerves, respectively. Together, the glossopharyngeal and vagus nerves are responsible for the contraction of the muscles of the pharynx involved in the gag reflex. In this case the glossopharyngeal nerve was injured when the tonsils were excised, resulting in the loss of the sensory side of the reflex. The mandibular and maxillary nerves are part of the trigeminal nerve and are thus largely associated with the sensory supply of the face, sinuses, and oral cavity. The hypoglossal nerve innervates most of the muscles of the tongue. The facial nerve is involved with taste of the anterior two thirds of the tongue; however, it does not mediate the gag reflex.